Vaginal delivery is contraindicted in :-
1. Monochorionic monoamniotic twins
2. First twin vertex 2nd breech
3. Extended breech
4. Mentoanterior position of head

Correct answer: 1. Monochorionic monoamniotic twins

Explanation: Cesarean delivery is performed at 32 to 34 weeks as chances of cord entanglement are high in MCMA twins. Extended breech, first twin vertex and second breech can be delivered vaginally Mentoanterior position (face presentation ) can be delivered vaginally by flexion (instead of extension)